Unnatural sexual offences are punished under
1. 375 A IPC
2. 376 A IPC
3. 377 IPC
4. 376 B IPC

Correct answer: 3. 377 IPC

Explanation: Sodomy, Bestiality are some examples of unnatural sexual offences, they are punished under 377 IPC.